Type IV Hypersensitivity-
1. Farmer's lung
2. Contact hypersensitivity
3. Immediate hypersensitivity
4. Myasthenia gravis

Correct answer: 2. Contact hypersensitivity

Explanation: Ans. is 'b' i.e., Contact hypersensitivity